Delayed or failed closure of the fontanelles, open skull sutures and multiple wormian bones are features of:
1. Cleidocranial dysplasia
2. Crouzon syndrome
3. Treacher Collins syndrome
4. Goldenhar syndrome

Correct answer: 1. Cleidocranial dysplasia

Explanation: The characteristic features of cleidocranial dysplasia include abnormalities in the skull, shoulder girdle, jaw bones and occasional stunting of long bones. In the skull, all the fontanelles are large and remain open or show delayed closure. The sutures are also open and the sagittal suture is often sunken and therefore, the skull appears flat (brachycephalic). Wormian bones are common. Frontal, parietal, and occipital bones are prominent and the paranasal sinuses are underdeveloped. Occasionally, parietal bone may be absent and paranasal sinuses are underdeveloped.  
Shafer's oral pathology ed 8 : page no:482